Zellweger syndrome is due to defect in-
1. Fatty acid synthesis in cytosol
2. Fatty acid oxidation in peroxisomes
3. Fatty acid oxidation in mitochondria
4. Fatty acid oxidation in smooth ER

Correct answer: 2. Fatty acid oxidation in peroxisomes

Explanation: Ans. is 'b' i.e., Fatty acid oxidation in peroxisomes o Zellweger Syndrome is a rare inborn error of peroxisomal fatty acid oxidation due to absence of functional peroxisomes in all tissues. As a result, the long chain fatty acids are not oxidized in peroxisomes and accumulate in tissues particularly in brain, liver, kidney and muscle and usually result in death by age six.